Drug used for obesity:
1. Orlistat
2. Rivatat
3. Nitousoxide
4. Phenylepherine

Correct answer: 1. Orlistat

Explanation: (A) Orlistat # Anti Obesity Drugs:> Sibutramine: serotonin and nor-epinephrine reuptake inhibitor.> Orlistat: gastric and pancreatic lipase inhibitor.> Rimonabant: Selective cannabinoid receptors antagonist. Other Drugs> Leptin analogs: Under investigational study.> Orlistat is a synthetic hydrogenated derivative of a naturally occurring lipase inhibitor, lipostatin, produced by the mould Streptomyces toxytricini. Orlistat is a potent, slowly reversible inhibitor of pancreatic, gastric, and carboxylester lipases and phospholipase A2, which are required for the hydrolysis of dietary fat into fatty acids and monoacylglycerols. The drug acts in the lumen of the stomach and small intestine by forming a covalent bond with the active site of these lipases. Taken at a therapeutic dose of 120 mg tid, orlistat blocks the digestion and absorption of about 30% of dietary fat. After discontinuation of the drug, fecal fat usually returns to normal concentrations within 48-72 h.> No reference found regarding the drug named Rivastat.